The percentage of fetal haemoglobin at birth is
1. 20%
2. 50%
3. 70%
4. 90%

Correct answer: 3. 70%

Explanation: At birth, fetal hemoglobin comprises 50-95% of the infant's hemoglobin Reference: GHAI Essential pediatrics, 8th edition